Which of the following is not a method for providing enteral nutrition?
1. PEG
2. PICC
3. Sip feeding
4. Nasojejunal tube

Correct answer: 2. PICC

Explanation: PICC stand for Peripherally inserted central venous catheter It is not a method for providing enteral nutrition instead it provides parenteral nutritionthrough an peripherally inserted catheter in one of the central veins. Enteral feeding refers to delivery of nutrients into the GIT by means of following techniques: Sip feeding Nasogastric/Ryle's tubes Surgical or Percutaneous endoscopic gastrostomy.